Coenzyme A in TCA contains which of the following?
1. Thiamine
2. Riboflavin
3. Panthothenic acid
4. Nicotinic acid

Correct answer: 3. Panthothenic acid

Explanation: Co-enzyme Activity of Pantothenic Acid - i. The beta mercaptoethanol amine (NH2-CH2- CH2-SH) contains one thiol or sulfhydryl (-SH) group. It is the active site where acyl groups are carried. Therefore the co-enzyme A is sometimes abbreviated as CoA-SH to denote this active site. ii. The thio ester bond in acyl-CoA is a high energy bond. These acyl groups are transferred to other acceptors, for example: Acetyl CoA + Choline - Acetyl choline + CoA (enzyme is acetyl choline synthase) iii. Acyl groups are also accepted by the CoA molecule during the metabolism of other substrates, for example: Pyruvate+CoA+NAD+ - AcetylCoA+CO2+NADH (Enzyme is pyruvate dehydrogenase). iv. The important CoA derivatives are: Acetyl CoA Succinyl CoA HMG CoA Acyl CoA. v. Co-enzyme A is an important component of fatty acid synthase complex. The ACP (acyl carrier protein) also contains pantothenic acid. Ref: DM VASUDEVAN TEXTBOOK OF BIOCHEMISTRY, EIGHTH EDITION,PG.NO.,472.